The most effective antitubercular drug against slow multiplying intracellular mycobacteria is :
1. Rifampicin
2. Isoniazid
3. Pyrazinamide
4. Ethambutol

Correct answer: 3. Pyrazinamide